On which of the following does aldosterone exert its greatest effect?
1. Glomerulus
2. Proximal tubule
3. Thin portion of the loop of Henle
4. Cortical collecting duct

Correct answer: 4. Cortical collecting duct

Explanation: The mineralocorticoids act primarily in the collecting ducts to increase the number of active epithelial sodium channels (ENaCs) in this part of the nephron.